Endodontically treated posterior teeth are more susceptible to fracture than untreated posterior teeth. The best explanation for this is:
1. Moisture loss
2. Loss of root vitality
3. Plastic deformation of dentin
4. Destruction of the coronal architecture

Correct answer: 4. Destruction of the coronal architecture